The commonest side effect of cisplatin in a patient using it for esophageal carcinoma is-
1. Acute tubular necrosis
2. Thrombocytopenia
3. Hepatic failure
4. Cardiomyopathy

Correct answer: 1. Acute tubular necrosis

Explanation: Ans. is 'a' Acute tubular necrosis Cisplatinum causes Renal Toxicity by damaging tubular epithelial cells. (Tubular necrosis)Other important Adverse effects of CisplatinumTinnitus*Deafness*Neuropathy*Hyperuricemia*